Clogging of an abrasive wheel with debris causing reduction of abrasive action is called
1. Blinding
2. Buffing
3. dressing
4. truing

Correct answer: 1. Blinding